All are true about diabetic ketoacidosis except?
1. Raging thirst
2. It is an early presentation in type 1 DM
3. Sodium Nitroprusside test is done to detect ketones
4. Serum bicarbonate > 15 mmol/L

Correct answer: 4. Serum bicarbonate > 15 mmol/L

Explanation: In diabetic ketoacidosis, the elevated blood sugar due to osmotic diuresis leads to polyuria. The stimulation of osmo-receptors will lead to increased thirst. DKA can lead to early presentation of type 1 DM but more frequently occurs in patients with pre-existing diabetes. Serum ketones are present in DKA and detectable at dilutions of 1:8. Urine dipstick using sodium nitroprusside can help in detection but plasma beta hydroxybutyrate is preferred. Serum bicarbonate levels in DKA are <10mmol/L